A lady presented with breast carcinoma. On investigation, it is noticed that other breast is also involved. Likely histological subtype is:
1. Inflammatory carcinoma
2. Colloid carcinoma
3. Lobular carcinoma
4. In situ carcinoma

Correct answer: 3. Lobular carcinoma

Explanation: Ans: C i.e. Lobular carcinoma Breast carcinoma Inflammatory carcinoma is fortunately rare, highly aggressive cancer that presents as painful, swollen breast, which is warm with cutaneous edema Rarer histological variants of breast carcinoma, usually carrying a better prognosis, include colloid carcinoma, whose cells produce abundant mucin Invasive lobular carcinoma is commonly mulotifocal a _id/ or bilateral In situ carcinoma is pre-invasive cancer that has not breached the epithelial basement membrane.